Pyruvate is converted to which substance to start gluconeogenesis?
1. Oxaloacetate
2. Phosphenol pyruvate
3. Cis-aconitate
4. Succinate

Correct answer: 1. Oxaloacetate

Explanation: GLUCONEOGENESIS 1. Definition - It is the process by which glucose molecules are produced from non-carbohydrate precursors. These include lactate, glucogenic amino acids, glycerol part of fat and propionyl CoA derived from odd chain fatty acids. 2. Site - Gluconeogenesis occurs mainly in the liver, and to a lesser extent in the renal cortex. The pathway is partly mitochondrial and partly cytoplasmic. 3. Key Gluconeogenic Enzymes - Pyruvate carboxylase, Phosphoenol pyruvate carboxy kinase, Fructose-1-6-bisphosphatase, Glucose-6-phosphatase. 1. Pyruvate Carboxylase Reaction - Pyruvate in the cytoplasm enters the mitochondria. Then, carboxylation of pyruvate to oxaloacetate is catalysed by a mitochondrial enzyme, pyruvate carboxylase. It needs the co-enzymes biotin and ATP. REF:DM VASUDEVAN TEXTBOOK OF BIOCHEMISTRY,EIGHTH EDITION,PG.NO.,136.